Most common cause of Non gonococcal urethritis is -
1. Meningococci
2. E. coli
3. Chlamydia trachomatis
4. Mycoplasma

Correct answer: 3. Chlamydia trachomatis